The percentage of inorganic matter in fully developed enamel is about
1. 66%
2. 76%
3. 86%
4. 96%

Correct answer: 4. 96%

Explanation: Enamel contains 96% of inorganic material and 4% of organic material. The inorganic material is mainly composed of hydroxyappatite crystals.